Choose among the following the most important lab finding in nephrotic syndrome -
1. B-J protein
2. Hyperkalemia
3. Hypoalbuminemia
4. Hypertension

Correct answer: 3. Hypoalbuminemia

Explanation: Ans. is 'c' i.e., Hypoalbuminemia. Nephrotic syndrome is characterized by large amounts of proteinuria (>3.5 g per 1.73 m2 body surface area per day, or > 40 mg per square meter body surface area per hour in children), hypoalbuminemia (< 2,5 g/dl), hyperlipidaemia, and edema that begins in the face. Lipiduria (lipids in urine) can also occur, but is not essential for the diagnosis of nephrotic syndrome. Hyponatremia also occurs with a low fractional sodium excretion.